During the process of chlorination of water, the disinfecting action of chlorine is due to the formation of-
1. Hydrochloric acid only
2. Hypochlorous acid only
3. Hydrochloric acid and hypochiorite ions
4. Hypochiorous acid and hypochiorite ions

Correct answer: 4. Hypochiorous acid and hypochiorite ions

Explanation: Ans. is 'd' i.e., Hypochlorous acid and hypochlorite ions